Salter Harris classification is used for -
1. Supracondylar humerus fractures in children
2. Estimation of growth of the physes
3. Physeal injuries
4. Severity of degloving injuries to the limb

Correct answer: 3. Physeal injuries

Explanation: Ans. is 'c' i.e., Physeal injuries Salter harris classification : Epiphyseal / Phvseal injurieso Type I: Complete separation of epiphysis from the metaphysis without fracture. Common in rickets, scurvy and osteomyelitis.o Type II: The fracture involves the physis and a triangle of metaphyseal bone (Thurston Holland sign). This is the commonest type of epiphyseal injury accounting for 73 percent of cases over 10 years of ageo Type III: The fracture is intra- articular and extends along the physis and then along the growth plate. This injury is relatively uncommon.o Type IV: The fracture is intra-articular and extends through the epiphysis, physis and metaphysis. Perfect reduction is necessary and open reduction is more often necessary to prevent growth arresto Type V: Crushing of epiphysis. Growth arrest usually followso Type VI (Rang's type) : There is a peripheral physis (perichondrial ring) injury.